An enzyme involved in the catabolism of fructose to pyruvate in the liver is
1. Glyceraldehyde–3–phosphate dehydrogenase
2. Phosphoglucomutase
3. Lactate-dehydrogenase
4. Glucokinase

Correct answer: 1. Glyceraldehyde–3–phosphate dehydrogenase

Explanation: Glyceraldehyde-3-phosphate dehydrogenase 

Fructose is converted glyceroldehyde-3-phosphate which, in turn, is metabolised to pyruvate by glycolysis.
Amongst the given options, only glyceraldehyde-3-phosphate dehydrogenase is the enzyme which is involved in glycolysis after formation of glyceraldehyde-3-phosphate dehydrogenase.